Importance of lepromin test are all except:
1. Only has epidemiological significance
2. Prognostic value
3. Tells about immunity status of leprosy patients
4. Differentiate between different types of leprosy

Correct answer: 1. Only has epidemiological significance

Explanation: Answer: (a) Only has epidemiological significance (Ref: Park 23rd/320-21; Community Medicine with Recent Advances by Suryakantha 4th/539-40The test has predictive value as well. It gives an indication of the risk of the disease among contacts of open cases.The test has an epidemiological value as well. It indicates the incidence and prevalence of infection among children. In the first 6 months of life, most children are lepromin negative. They become positive progressively as their age advances.The two drawbacks that stand in the way of this test bring used for diagnosis are:(i) positive results in non-cases, and (ii) negative results in lepromatous and near-lepromatous cases